The most common systemic association of scleritis is:
1. Ehlers - Danlos syndrome
2. Disseminated systemic sclerosis
3. Rheumatiod arthritis
4. Giant cell arteritis

Correct answer: 3. Rheumatiod arthritis

Explanation: C i.e. Rheumatiod arthritis Scleritis is a rare chronic granulomatous disorder characterised by fibrinoid necrosis, destruction of collagen, infiltration by inflammtory cells and vascular remodelling. It is usually a B/ L disease affecting females more than males.